Which receptor get stimulated in moderate cold?
1. CMR-1
2. VR1
3. VRL-1
4. VR2

Correct answer: 1. CMR-1

Explanation: The receptor for moderate cold is the cold and methanol sensitive receptor 1(CMR 1). Ref: Ganong's review of medical physiology; 23rd edition; pg: 168.